Recurrent dislocation is most common in the shoulder joint. Which one of the following is not an important cause for the same?
1. Tear of the anterior capsule of the shoulder
2. Associated fracture neck of the humerus
3. Tear of the glenoid labrum
4. Freedom of mobility in the shoulder

Correct answer: 2. Associated fracture neck of the humerus

Explanation: B i.e Associated with fracture neck of the humerus * Fracture neck of humerus is not the cause of shoulder dislocation but it is an associated feature. And it is mostly associated with acute traumatic dislocation (not with recurrent dislocation).* Freedom of mobility especially abduction & external rotationQ movement cause recurrent shoulder dislocation in predisposed individuals.